Fever is due to:
1. Interleukin-1
2. Interleukin-2
3. Interleukin-3
4. Interleukin-4

Correct answer: 1. Interleukin-1

Explanation: Interleukin-1